The surface ectoderm gives rise to which of the following structures?
1. Dilator pupillae muscle
2. Retina
3. Lens
4. Sclera

Correct answer: 3. Lens

Explanation: The surface ectoderm gives rise to the cornea ( first layer ) & the eye lens. Dilator pupillae muscle &retina is derived from neuroectoderm. Sclera is derived from neural crest cells.